First heart sound occurs during the period of:
1. Isovolumetric relaxation
2. Isotonic relaxation
3. Isovolumetric contraction
4. Isotonic contraction

Correct answer: 3. Isovolumetric contraction

Explanation: First heart sound is a low, slightly prolonged lub caused by vibrations set up by the sudden closure of mitral or tricuspid valves at the start or ventricular systole and it occurs during the period of Isovolumetric contraction. Ref: Medical Physiology: Principles for Clinical Medicine, 3rd Ed, Page 247 By Rodney Rhoades, David R. Bell, Ph.D